10% of total deaths in a city is due to accidents. There are 500 total deaths reported. What is true?
1. 10% is case fatality rate.
2. Out of total deaths 50 are due to accidents.
3. Both of these
4. None of these.

Correct answer: 2. Out of total deaths 50 are due to accidents.

Explanation: - Proportional Mortality Rate ( PMR)